Absolute contra -- indication of Norplant :
1. Acute thrombophiebitis
2. Hypertension
3. Diabetes mellitus
4. Hypercholesterolemia

Correct answer: 1. Acute thrombophiebitis

Explanation: Acute thrombophiebitis